Pubarche is due to
1. GH
2. Prolactin
3. Estrogen
4. Testosterone

Correct answer: 4. Testosterone

Explanation: Pubarche refers to the first appearance of pubic hair at puberty. Pubarche is one of the physical changes of puberty and can occur independently of complete puberty Ref: guyton and hall textbook of medical physiology 12 edition page number:636,637,638